Needle-shaped crystals negatively birefringent on polarized microscopy is characteristic of which crystal associated arthropathy?
1. Gout
2. CPPD
3. Neuropathic arthropahty
4. Hemophilic arthropathy

Correct answer: 1. Gout

Explanation: Crystal of pseudogout:Made up of calcium pyrophosphateWeakly positive birefringent, rhomboidCrystal of goutMade up of uric acid (monosodium urate)(Refer: Mohindra's Fundamentals of Orthopedics, 2nd edition, pg no. 433, 434)